Amyl nitrate is most commonly administered
1. Intravenously
2. By inhalation
3. Sub lingually
4. Orally

Correct answer: 2. By inhalation